Mania is characterized by:
1. Paranoid delusion
2. Loss of orientation
3. High self esteem
4. All

Correct answer: 3. High self esteem

Explanation: C i.e. High self esteem